A company executive, who travels world wide, presents with upper abdominal mass and + ve casoni's test. The organism is -
1. Echinococcus
2. Entamoeba histolytica
3. Hepatitis
4. Ascariasis

Correct answer: 1. Echinococcus